Which GLUT transporter facilitates Fructose absorption along the apical side of enterocyte?
1. GLUT 1
2. GLUT 2
3. GLUT 4
4. GLUT 5

Correct answer: 4. GLUT 5

Explanation: Ans. is 'd' i.e., GLUT 5* Fructose absorption along the apical side of enterocyte is by GLUT 5 transporter. It is an example for facilitated passive diffusion* Fructose absorption along the basolateral side of enterocyte is by GLUT 2 transporter. That is again an example of facilitated passive diffusionGlucose absorption* Glucose absorption along the apical side is by Sodium Glucose cotransporter 1 (SGLT1)* It is by secondary active transport mechanism* This is primarily why glucose is added to oral rehydration solution.* The purpose of giving oral rehydration solution is to replenish the sodium loss. But we don't just add salt to the solution, we also add glucose. The rationale is that when glucose gets reabsorbed, along with that sodium also gets reabsorbed.* Glucose absorption along the basolateral side is through GLUT 2 transporter* GLUT 2 transporter is an example of facilitated passive diffusion* Galactose absorption also follows the same route. (With the help of SGLT1 along the apical side and GLUT 2 along the basolateral side)Fructose absorption* Fructose absorption along the apical side is by GLUT 5 transporter.* GLUT 5 transporter is an example of facilitated passive diffusion* Fructose absorption along the basolateral side is by GLUT 5 transporter or through GLUT 2 transporter* Thus Fructose absorption along both apical side and basolateral side is by facilitated passive diffusion